Herniation of midgut during embryogenesis persists until
1. 6 weeks
2. 10 weeks
3. 16 weeks
4. 20 weeks

Correct answer: 2. 10 weeks

Explanation: This midgut herniation persists until about 10 weeks of fetal gestation, when the intestine returns to the abdominal cavity Ref: Sabiston 20th edition Pg no : 1237